Plasma sterilization accuracy is assessed by using?
1. Bacillus subtilis
2. Bacillus stereothermophilus
3. Staphyllococcus aureus
4. Clostidium tetani

Correct answer: 2. Bacillus stereothermophilus

Explanation: Bacillus stearothermophilus Plasma sterilization: It is an eg of moist heat sterilization For determining the efficacy of moist heat sterilization, spores of Bacillus stearothermophilus are used as the test organism. The bacterial organism most resistant to the sterilization technique is Bacillus stearothermophilus. Ref: Nathan Ryan & panickers Textbook of Microbiology 9th edition: 32